Reiter's syndrome is typically characterised by:
1. Urethritis, conjunctivitis and iridocyclitis
2. Arthritis, conjunctivitis and iridocyclitis
3. Urethritis, arthritis and conjunctivitis with or without iridocyclitis
4. All of the above

Correct answer: 3. Urethritis, arthritis and conjunctivitis with or without iridocyclitis

Explanation: Ans. Urethritis, arthritis and conjunctivitis with or without iridocyclitis